Hemodialysis-associated with amyloid pattern -
1. A A
2. Beta - 2- macroglobulin
3. ATTR
4. AL

Correct answer: 2. Beta - 2- macroglobulin

Explanation: Hemodialysis associated amyloidosis : -

Patients on long-term hemodialysis for renal failure develop amyloidosis owing to deposition of β3- microglobulin.
In patients with renal failure, β2 - microglobulin is present in high concentration, but it cannot be filtered through the dialysis membranes and is retained in circulation,
Hemodialysis-associated amyloid deposits in the synovium, joints, and tendon sheaths.